The regionally named layer of tissue which encloses and binds muscle groups together is the:
1. Deep fascia
2. Intermuscular septum
3. Neurovascular bundle
4. Skin

Correct answer: 1. Deep fascia

Explanation: Deep fascia is a dense layer of connective tissue that invests structures such as the muscles. Intermuscular septa are specific fascial planes that separate groups of muscles into different compartments, a concept that will be very important for understanding the limbs. Skin is the most superficial structure of the body, and it is comprised of the epidermis and dermis. The subcutaneous tissue, also known as the hypodermis or superficial fascia, is the mostly fat filled layer which lays directly underneath the skin. Although skin and subcutaneous tissue cover the muscles, these layers do not directly invest and enclose regional muscle groups.